A 12-year-old child presents with fever and cervical lymphadenopathy. Oral examination shows a grey membrane on the right tonsil extending to the anterior pillar. Which of the following medium will be ideal for the culture of the throat swab for a rapid identification of the pathogen :
1. Nutrient agar.
2. Bloodagar.
3. Loffler's serum slope
4. Lowenstein Jensen medium.

Correct answer: 3. Loffler's serum slope

Explanation: Ans. is 'c' Loffler's Serum slope Fever, cervical lymphadenopathy and grey membrane on the tonsil extending to the anterior pillar confirms the diagnosis of diptheria injection.Harrison states that- "If pseudomembrane formation occurs beyond the tonsils and with it cervical lymphadenopathy is also present then the case is categorised as severe case of diptheria"We also know that diphtherial infection can cause severe complication such asRespiratory obstructionMyocarditis*Polyneuritis*The risk of each of these complications is proportional to the severity of the diseaseSo in a severe disease rapid diagnosis is must which can be achieved byLoeffler's Serum Slope It may show growth in 4 to 8 hrs.Tellurite Blood agar Corynebacterium diptheria is also grown on tellurite blood agar but they take longer time (at least 2 days) to grow on these mediaNOTE For culture of corynebacterium diptheria the swabs are also inoculated on plates of ordinary blood agar just for differentiating staph and streptococcal pharyngitis which stimulates diptheria.TreatmentAntibiotic (Erythromycin or Procaine penicillin)